Cognitive behavior therapy deals with:
1. Unconscious motive
2. Maladaptive assumptions
3. Psuedodynamic conflict
4. All

Correct answer: 2. Maladaptive assumptions

Explanation: B i.e. Maladaptive assumptions Cognitive (behavior) therapy deals with maladaptive or dysfunctional assumptionsQ (beliefs, attitudes, ideas, perceptions & self statements) also k/a negative automatic thoughts & schemas and their emotional sumptionsQ. Whereas, Psychodynamic psychotherapy is based on unconscious intrapsychic intersystem conflictsQ Psychotherapy Cognitive Therapy - It comprises techniques designed to help the patient recognize, challenge, and modify irrational or dysfunctional beliefs, ideas, perceptions, and self statements, that are assumed to cause pathological emotional reactionsQ, to negative or stressful events. Modifying such beliefs is k/a cognitive restructuring. Dysfunctional information processing include automatic thoughts and schemas. schemas. 1. Automatic thoughts are cognitions that stream rapidly through an individual's mind, whether spontaneously or triggered by affective arousal (i.e. anxiety, anger or sadness). Their automatic nature refers to their speed of entery into awareness & their implicit believability leading to emotional validity (emotional reasoning). Beck coined term cognitive triad to describe the content of automatic negative thoughts grouped by themes pertaining to self world (i.e. significant others or people in general) and future. Cognitive errors or distortions are stereotypic errors in logic which shape the content of automatic thoughts. Schemas represent the sum of one's attitude & beliefs. They are unspoken rules or basic assumptions that act as templates for screening and decoding informations from the environment. - Cognitive therapy is a short term (25 weeks), structured therapy that uses active collaboration b/w patient & therapist, to achieve its therapeutic goals, which are oriented towards current problems & their resolution. It includes 4 processes : eliciting automatic thoughts, testing automatic thoughts, identifying maladaptive assumptions and testing the validity of maladaptive assumptions. - Alternations in the content of underlying cognitive structures affect their affective (emotional) state & behavioral pattern. - It is effective in mood (depression) and anxiety disorders (such as generalized anxiety disorder, panic disorder, and both social & specific phobias) > substance abuse, schizophrenia, personality disorders and eating disorders. Behavior Therapy - It is based on principles of operant & classic conditioning, and modeling to help patients to change maladaptive patterns of behaving. - It is effective in OCD, anxiety disorders including GAD, panic disorder, and both social and specific phobias. It is also effective in treatment of pain disorders, sleep problems, behavior problems (a/w schizophrenia), substance abuse disorder, and children's disorder such as attention- deficit/hyper activity disorder (ADHD), oppositional defiant disorder, school phobia, separation anxiety disorder, eneuresis and self injury (in mentally retarded children) Interpersonal therapy (IPT) IPT focuses on specific inter personal deficits or problems, such as continual relational conflicts or difficulty transitioning into a new life role (eg divorce, job loss, retirement). substance abuse, schizophrenia, personality disorders and eating disorders. " v:shapes="_x0000_s1026">- It focuses on 4 categories of problems; inter personal deficits, role disputes, role transitions & grief. - It was originally developed to treat depression. It has also been used in eating disorders, particularly bulimia nervosa & binge- eating disorder. Psychodynamic Psychotherapy - They are derived from Sigmund Freud'sQ psychoanalytic techniques and are intended to promote self understanding and insight into recurring problems with others. - In therapy, the inter personal problems which are the result of defence mechanisms and intrapsychic conflicts are identified, interpreted, and managed. - The primary mode of therapeutic action of psychoanalytic psychotherapy is insight which may be defined as the conscious recognition of the role of unconscious factors (such as feelings, experiences & fantasies) on current experience and behavior. - Unconscious neurotic conflicts are recovered from memory & verbellay expressed, re experienced in the transference, reconstructed by analyst, & ultimately, resolved through understanding. Freud referred to these processes as recollection, repetition, and working through, which make up the totality of remembering, reliving, and gaining insight. Interpersonal Therapy (ITP) - It is a time limited treatment (12-20 sessions over 4-5 month period) which assumes that the development & maintenance of some psychiatric illnesses occur in interpersonal & social context, and that the onset, response to treatment and out comes are influenced by the inter personal relations between the patient & significant others. Psychodrama, Sociodrama, Sociometry & Sociatry - Jacob Levy Moreno hypothesized a model of health focusing on capacity for creativity, not pathology. It assumes that human beings learn primarily through interaction with social networks, which he called social atoms. Social atoms can depict all or any combinations of relationships: past, present, absent, alive or needed, positive, negative, neutral, ambivalent, mutul, nonmutual what needs to be changed / clarified/ started / ended / substracted and added with whom the client is emotionally related. - The nucleus of social atom reflects oneself & first ring are those whose impact is most significant, and so on - It is based on theories and methods of the social atom, canon of creativity, therapeutic stage, psychodramatic mirror, surplus reality, auxiliary ego, role reversal, role playing, the empty chair, role theory, the double, encounter & development theory. - Therapeutic dramatization of emotional problems includes the protagonist, auxiliary ego, director and group. A client (patient or protagonist), works with a psychodramatist (director, leader or therapist) who uses a sequence of methods to guide a protagonist (in psychodrama) or group (in sociodrama) in their experiential exploration of any aspect of the past, present or future towards the acquisition of insight. An auxiliary ego is another group member, who may be asked by the protagonist or director to represent a person or aspect (someone or something) in protagonist's experience. Dialectical Behavior Therapy (DBT) Originally developed for chronically self injurious patients with borderline personality disorder and parasuicidal behavior, using techniques involving advice, metaphor, story telling, and confrontation among others.